True about hepatitis A virus:
1. Causes cirrhosis
2. Helps HDV replication
3. Common cause of hepatitis
4. Causes chronic hepatitis

Correct answer: 3. Common cause of hepatitis

Explanation: Ans. is 'c' i.e., Common cause of hepatitis in children (Ref: Ananthanarayan, 8th/e, p. 537)* HAV the most common cause of hepatitis in children.* HAV does not cause chronic hepatitis or cirrhosis.* HBV (no HAV) helps in HDV replication.